Gemcitabine is used mainly in which cancer ?
1. Colorectal
2. Breast
3. Pancreatic
4. Cranipharyngioma

Correct answer: 3. Pancreatic

Explanation: Ans. is 'c' i.e., Pancreatic